Bicipital aponeurosis lies over which structure in cubital fossa:-
1. Median cubital vein
2. Radial nerve
3. Brachial artery
4. Anterior interosseous artery

Correct answer: 3. Brachial artery

Explanation: Bicipital aponeurosis lies superficial to the brachial artery and median nerve. -lies deep to superficial veins. -provides protection for the deeper structures during venepuncture at cubital fossa. -routinely released to decompress the median nerve